Juxtaglomerular apparatus includes
1. Macula densa
2. Juxtaglomerular cells
3. Extraglomerular measngial cells
4. All of the above

Correct answer: 4. All of the above

Explanation: All the above are components of Juxtaglomerular apparatus